Which of the following condition is characterized by "Golf-hole ureter"?
1. Genitourinary Tuberculosis
2. Ureterocele
3. Vesicoureteric reflux
4. Carcinoma of Bladder

Correct answer: 1. Genitourinary Tuberculosis

Explanation: "Golf-hole ureter" is a characteristic finding in Genitourinary Tuberculosis. It occurs because of the contraction caused by the fibrosis of ureter at the ureteric orifice which leads to widening of its internal opening which gives an appearance of golf hole.